Fallopian canal contains which cranial nerve
1. 5
2. 6
3. 7
4. 8

Correct answer: 3. 7

Explanation: Ans. (c) 7Reft Dhingra's ENT 5th ed. / 6* Fallopian canal is also known as facial canal present on the walls of middle ear.* Direction:# Entry from media wall. Facial nerve runs in horizontal direction# Exits on posterior wall. Facial nerve here runs in vertical direction.